Nerve supply of tip of nose ?
1. Ext nasal branch of ophthalmic division of
2. Inferior orbital nerve
3. Buccal br of mandibular nerve
4. Orbital br of maxillary n

Correct answer: 1. Ext nasal branch of ophthalmic division of

Explanation: Ans. is 'a' i.e., Ext nasal branch of ophthalmic division of